Most common cause of fracture of roof of orbit-
1. Blow on back of head
2. Blow on parietal bone
3. Blow on the forehead
4. Blow on the upper jaw

Correct answer: 3. Blow on the forehead

Explanation: Orbital-roof fractures are usually the result of high-energy injuries. They may be anteriorly continuous with an injury to the supraorbital rim or frontal sinus, or they may extend posteriorly to the superior orbitalfissure Ref khurana 6/e 402